All of the following can aggravate Myasthenia gravis except :
1. Azathioprine
2. d–Tubocurarine
3. Tetracycline
4. Aminoglycoside

Correct answer: 1. Azathioprine